'First order 'symptoms of schizophrenias' schizopremia include all except:
1. Depersonilization
2. Running commentary of ones thoughts
3. Primary delusion
4. Somatic passivity

Correct answer: 1. Depersonilization

Explanation: There are 11 first rank symptoms first three are related to thoughts - thought insertion , withdrawal & broadcasting next three are related to hallucinations -1St person ,2ND person & 3RD person next three are made phenomena remember MADE VOLITION, MADE IMPULSE, MADE AFFECT (mood) Last two are Somatic passivity & Delusional perception